Larval control is an important method of mosquito control. All of the following are larval control measures, EXCEPT:
1. DDT
2. Paris green
3. Gambusia
4. Intermittent irrigation

Correct answer: 1. DDT

Explanation: The organochlorine compounds (e.g., DDT, HCH) are not recommended for larviciding operations because of their long residual effect, water contamination and increased risk of developing resistance in the vector mosquitoes. Anti-larval measures: Environmental control (e.g., intermittent irrigation) Chemical control Mineral oils Paris green Synthetic insecticides (Fenthion, Chlorpyrifos, Abate) Biological control (Gambusia affinis and Lebister reticulatus) Ref: Park's Textbook of Preventive and Social medicine, 19th edition, Page 627.